All are true about conductive deafness except ?
1. Rinne's test is negative
2. Absolute bone conduction is normal
3. Weber is lateralized to poorer ear
4. There is decay in threshold tone

Correct answer: 4. There is decay in threshold tone

Explanation: Ans. is 'd' i.e., There is decay in threshold tone